Investigation using dye to find out stone in salivary gland
1. Sialography
2. Mammography
3. MR angiography
4. USG

Correct answer: 1. Sialography

Explanation: Dye used is lipiodol or sodium diatrizoate(Hypaque).24-gauge cannula is passed into either Stenson's duct or Wharton's duct and one ml of the dye is injected into the duct and X-ray is taken. SRB,5th,406.